HPV type 6 and 11 associated with genital was have_____ ongenic risk?
1. High
2. Low
3. Nil
4. Variable

Correct answer: 2. Low

Explanation: Human papilloma virus and association with cervical cancer High oncogenic risk--Types 16, 18, 31, 33,35, 45, 56. Low oncogenic risk--Types 6, 11, 42, 43.